Which of the following is not true regarding IgE antibodies
1. It mediated release of histamine and other chemicals mediator
2. It is the primary antibody involved in allergic reaction
3. It is involved in anti parasitic immune response
4. May cross the placenta and fix complement

Correct answer: 4. May cross the placenta and fix complement

Explanation: May cross the placenta and fix the compliment _IgG not IgE IgE's main function is immunity to parasites such as helminths like Schistosoma mansoni, Trichinella spiralis, and Fasciola hepatica. IgEis utilized during immune defense against certain protozoan parasites such as Plasmodium falciparum